Deficiency of zinc causes all of the following except:
1. Growth retardation
2. Sexual infantilism
3. Alopecia
4. None

Correct answer: 4. None

Explanation: Ans. D i.e. None